Which is not seen in iron deficiency anaemia ?
1. Hyper-segmented neutrophils
2. Microcytosis preceeds hypochromia
3. MCHC < 50 %
4. Commonest cause of anaemia in India

Correct answer: 1. Hyper-segmented neutrophils

Explanation: Ans. is 'a' i.e., Hypersegmented neutrophills